Which of the following is the absolute contraindication for laparoscopic cholecystectomy
1. Clotting factor deficiency
2. Perforation peritonitis
3. Empyema of the gallbladder
4. All of the above

Correct answer: 1. Clotting factor deficiency

Explanation: Contraindications to Laparoscopic Cholecystectomy Absolute Unable to tolerate anaesthesia Refractory Coagulopathy Suspicion of carcinoma Relative Previous upper abdominal surgery Cholangitis Diffuse peritonitis Cirrhosis or portal hypertension Chronic obstructive pulmonary disease Cholecystenteric fistula Morbid Obesity Pregnancy Ref: Blumgart 5th edition Pg no :514